Recommended angle of root end resection is:
1. 45 degree
2. 0 degree
3. 30 degree
4. 15 degree

Correct answer: 2. 0 degree